Pink disease is caused due to the chronic exposure of?
1. Arsenic
2. Silicon
3. Mercury
4. Lead

Correct answer: 3. Mercury

Explanation: Acrodynia or pink disease is thought to be an idiosyncratic hypersensitivity reaction particularly seen in children. This can can be caused by the chronic mercury exposure in any form usually in children. The onset is insidious with anorexia, insomnia, sweating, skin rash and photophobia. Hands and feet become puffy, pinkish, painful, paraesthetic with peeling of skin. Ref: The Essentials of Forensic Medicine and Toxicology 29th Ed Page 486.